When caring for a male patient who has just had a total laryngectomy, the nurse should plan to:
1. Encourage oral feeding as soon as possible
2. Develop an alternative communication method
3. Keep the tracheostomy cuff fully inflated
4. Keep the patient flat in bed

Correct answer: 2. Develop an alternative communication method

Explanation: A patient with a laryngectomy cannot speak, yet still needs to communicate.
Therefore, the nurse should plan to develop an alternative communication method.
After a laryngectomy, edema interferes with the ability to swallow and necessitates tube (enteral) feedings. 
To prevent injury to the tracheal mucosa, the nurse should deflate the tracheostomy cuff or use the minimal leak technique.
To decrease edema, the nurse should place the patient in semi-Fowler’s position.